Desmoplastic response is commonly seen in?
1. Ovarian cancer
2. Hodgkins Lymphoma
3. Renal cell carcinoma
4. Pancreatic carcinoma

Correct answer: 4. Pancreatic carcinoma

Explanation: Pancreatic adenocarcinoma and cholangio carcinoma produce demsoplastic response